Which artery can be felt at anterior border of masseter against the mandible?
1. Facial artery
2. Maxillary artery
3. Posterior auricular artery
4. Superficial temporal artery

Correct answer: 1. Facial artery

Explanation: Facial artery REF: Anatomy at a glance by Omar Faiz, David Burns Moffat page 165Surface anatomy of facial artery:"Facial artery can be felt on the mandible at the anterior border of the masseter"